Which of the following is not true about intracapsular fracture of femur neck?
1. Displacement is less commonly than extracapsular fractures
2. Malunion is common complication
3. Contour of greater trochanter is normal
4. Tenderness is mainly present over the anterior joint line"

Correct answer: 2. Malunion is common complication

Explanation: *Malunion is not a complication of fracture neck femur. Other options are correct. Complications - General * VTE # Infections / LI / Wound) * # Bed sores # Osteoarthritis , Avscaulr necrosis and Non union Ref: Maheshwari 9th/e p.137